Maximum iron is in which nut?
1. Pista
2. Cashew
3. Peanut
4. Walnut

Correct answer: 1. Pista

Explanation: Ans. (a) PistaRef: Park 22nded p 583